All of the following are components of vaginal sphincter, EXCEPT:
1. External urethral sphincter
2. Internal urethral sphincter
3. Bulbospongiosus
4. Pubovaginalis

Correct answer: 2. Internal urethral sphincter

Explanation: Four muscles compress the vagina and act as sphincters:PubovaginalisExternal urethral sphincterUrethrovaginal sphincterBulbospongiosusRef: Clinically Oriented Anatomy By Keith L. Moore, Arthur F. Dalley, II, Anne M. R. Agur, 2013, Page 389.